Safety muscle of tongue is:
1. Genioglossus
2. Hyoglossus
3. Palatoglossus
4. Styloglossus.

Correct answer: 1. Genioglossus